A few months after receiving an IM injection a ladypresented to you with pain in both the shoulders. On examination there is sensory loss over bilateral shoulders with mild wasting of muscles. Which of the following vaccines is the likely cause?
1. Tetanus
2. Measles
3. MMR
4. BCG

Correct answer: 1. Tetanus

Explanation: This is a case of brachial neuritis following an injection of tetanus toxoid. Here there is dysfunction of the nerves supplying the arm or shoulder without involvement of the rest of the nervous system. The sensory loss is less prominent than the weakness. There may also be bilateral involvement of muscles with wasting. Ref: Park, Edition 21, Page 105.